Psoralen-A is used in the treatment of:
1. Pemphigus
2. Vitiligo
3. Pityriasis alba
4. Icthyosis

Correct answer: 2. Vitiligo

Explanation: Photochemotherapy (PUVA: Psoralen ultraviolet A)- Photoactivated psoralen undergoes 02 independent as well as 02 dependent reactions and binds to pyrimidine bases- interferes with DNA synthesis and epithelial cell turnover. Oral methoxsalen is followed 1-2 hours later by UVA exposure on alternate days. ESSENTIALS of medical PHARMACOLOGY SEVENTH EDITION-KD TRIPATHI page:892